Post-term labour is seen in:
1. Hydramnios
2. PID
3. Anencephaly
4. Multiple pregnancy

Correct answer: 3. Anencephaly

Explanation: Post term labour is seen in anencephaly. Pituitary is absent. It interfers with hormonal control of onset of labour. TEXTBOOK OF OBSTETRICS, SHEILA BALAKRISHNAN, 2nd EDITION,pg:218